The ability to share client's emotions by the therapist is called:
1. Empathy
2. Reflection
3. Counter transference
4. Catharsis

Correct answer: 1. Empathy

Explanation: Empathy Understanding what the patient is thinking and feeling and it occurs when the psychiatrist is able to put himself or herself in the patient's place while at the same time maintaining objectivity. For the psychiatrist to truly understand what the patient is thinking and feeling requires an appreciation of many issues in the patient's life.